Bacterial endocarditis is rarely,seen in-
1. VSD
2. PDA
3. MVP
4. secundum ASD

Correct answer: 4. secundum ASD

Explanation: Answer is D (Ostium Secondum ASD) Endocarditis is 11171IS nal in sites with a small pressure gradient as. in ASD ASD is low risk lesion for the development of infective endocarditis and the single best answer amongst the options provided